Leucokoria can be seen in all except-
1. Persistant hyperplastic primary vitreous
2. Congenital glaucoma
3. Fungal endopthalmitis
4. Retinoblastoma

Correct answer: 2. Congenital glaucoma

Explanation: Ans. is 'b' i.e., Congenital glaucoma Leukocoria ( a yellowish white pupillary reflex also called as amaurotic cats eye reflex*) is seen in:Retinoblastoma *Congenital cataract*Inflammatory deposits in the eye*Coloboma of the choroid*Retrolental fibroplasia (Retinopathy of prematurity) *Persistant hyperplastic primary vitreous *Toxocara endophthalmitis*Exudative retinopathy of coats*Tuberculoma of choroid*Retinal detachment*